A lady with 10-12 weeks pregnancy develops acute retention of urine. The likely cause is:
1. Retroverted uterus
2. Urinary tract infection
3. Prolapse uterus
4. Fibroid

Correct answer: 1. Retroverted uterus

Explanation: Ans. is a, i.e. Retroverted uterusRef. Dutta Obs. 7/e, p 311, 312, Jeffcotes Gynae Combination 7/e, p 493Well friends amongst the options given UTI and prolapse of uterus- cause increased frequency of urination and not retention.So we are left with 2 options - fibroid and irritability uterus.Intrauterine fibroid commonly causes bladder irritability due to its weight leading to diurnal frequency.Retroverted uterus: It is common during pregnancy and can lead to retention between 12 and 16 weeks. It is the best answer.